Drug of choice for reversal of muscle relaxant after anaerthesia -
1. Pralidoxine
2. Neostigmine
3. Atropine
4. None

Correct answer: 2. Neostigmine

Explanation: Ans. is 'b' i.e., Neostigmine Reversal of neuromuscular blocko Nondepolarising muscle relaxants have antagonistic action on acetylcholineo They act by blocking the action of acetylcholine released at the neuromuscular junction which are then not able to combine with its receptors to generate endplate potential,o The antagonistic action of nondepolarizing muscle relaxant can be overcome by increasing the concentration of acetylcholine at the neuromuscular junction,o This is achieved by administering anticholinesterases to the patiento Anticholinestrases act by inhibiting the action of acetylcholinesterase (an enzyme that degrades acetylcholine by causing its hydrolysis).o Anticholinesterases thus increase the level of acetylcholine at the neuromuscular junction,o Neostigmine also has some additional direct action on cholinergic receptors i.e., it depolarizes motor end plate,o It does not increase the release of ACH. Accumulated ACH acts on prejunctional muscarinic autoreceptors and inhibits the release of ACH.